The following is not true of syphilis -
1. TPI is most specific
2. VDRL is not specific
3. VDRL is negative in secondary syphilis
4. IgM test is specific for congenital syphilis

Correct answer: 3. VDRL is negative in secondary syphilis

Explanation: Ans. is 'c' i.e., VDRL is negative in secondary syphilis